All are the side effects of prolonged phenytoin therapy EXCEPT :
1. Osteomalacia
2. Gynaecomastia
3. Megaloblastic anemia
4. Gum hyperplasia

Correct answer: 2. Gynaecomastia